Ablation of the 'somatosensory area I' of the cerebral cortex leads to :
1. Total loss of pain sensation
2. Total loss of touch sensation
3. Loss of tactile localization but not of two point discrimination
4. Loss of tactile localization and two point discrimination

Correct answer: 4. Loss of tactile localization and two point discrimination

Explanation: D i.e. Loss of tactile localization & two point discrimination Functions & Lesions Somatosensory area I (SI) Primary somatosensory area (SI) is Brodmann's area 1, 2, 3 situated in postcentral gyrus. Ablation of SI would lead to cortical pattern of sensory loss. Lesion in this area produce contralateral impairment of: - TouchQ - Sterognosis - Pressure - Barognosis - Proprioception - Cutaneographia - Two point discrimationQ Spinal cord lesion Brainstem lesion Thalamic lesion Cortical lesion Five patterns are seen depending Loss of pain & temperature Hemisensory loss of Patients is able to recognize all upon whether there is: on ipsitateral face and all modalitiesQ sensation but localizes them - Complete transaction opposite side of bodyQ. poorly - Hemisection (Lateral medullary - Loss of two point - Central cord section syndrome)Q discriminationQ - Posterior column section sensation) - Sensory inattention